A year 6 old child with IQ of 50. Which of the following can the child do -
1. Identify colours
2. Read a sentence
3. Ride a bicycle
4. Copy a triangle

Correct answer: 1. Identify colours

Explanation: Ans. is 'a' i.e. Identify colours IQ is defined by as the mental age divided by the chronological age multiplied by 100. So a child 6 years of age with an IQ of 50%, means that his mental age is that of a 3 year old child. Thus we have to look for the developmental milestones of a 3 year old child. o At 3 years of age, a child can identify two colours. o A 3 year old child can speak a small sentence but he cannot read a sentence. o At 3 years, a child can ride a tricycle (not a bicycle). o A child copies a triangle at 5 years of age.